Fibrolamellar Ca of liver all are false except:
1. Common in 20 - 30 years
2. Commonly associated with Cirrhotics
3. Prognosis is poor
4. a-fetoprotein positive in 95% cases

Correct answer: 1. Common in 20 - 30 years

Explanation: Ref: Sabiston Textbook of Surgery, 18th ed Table 52-9Explanation:Fibrolamellar HCC (FHCC) is a variant of HCCThis tumor generally occurs in younger patients without a history of cirrhosis.The tumor is usually well demarcated and encapsulated and may have a central flbrotic area.The central scar can make distinguishing this tumor from FNH difficult.Histologically, FHCC is composed of large polygonal tumor cells embedded in a fibrous stroma forming lamellar structuresCHARACTERISTICHCCFHCCMale-to-female ratio2:1-8:11 : 1Median age (yr)5525TumorInvasiveWell circumscribedResectability<25%50%-75%Cirrhosis90%5%a-fetoprotein positive80%5%Hepatites B positive65%5%